Which of the following is the most common retro peritoneal sarcoma ?
1. Liposarcoma
2. Leomyo sarcoma
3. Fibrosarcoma
4. Neural sheath sarcoma

Correct answer: 1. Liposarcoma

Explanation: Retroperitoneal sarcomas account for 0.1%-0.2% of all malignant tumours and about 15% of all sarcomas. Liposarcoma is the most common type of retroperitoneal sarcoma (41%), followed by leiomyosarcoma, malignant fibrous histiocytoma, fibrosarcoma and other undifferentiated sarcomas